Which of the following condition has a propensity to invade the portal or hepatic vein?
1. Cavernous hemangioma
2. Hepatocellular carcinoma
3. Focal nodular hyperplasia
4. Hepatic adenoma

Correct answer: 2. Hepatocellular carcinoma

Explanation: Hepatocellular carcinoma has a propensity to invade portal or hepatic veins. Neo vascularity within the thrombus in the portal or hepatic veins on Doppler US is considered diagnostic of hepatocellular carcinoma. Common factors associated with increased risk of developing HCC: Cirrhosis from any cause Hepatitis B or C chronic infection Chronic ethanol consumption NASH/NAFLD Aflatoxin B1 or other mycotoxins AFP is a serum tumor marker for HCC. The other widely used assay is that for des-g-carboxy prothrombin (DCP) which is increased in as many as 80% of HCC patients. It may predict for portal vein invasion. An ultrasound examination of the liver is an excellent screening tool. A helical/triphasic CT scan of the abdomen and pelvis, with fast-contrast bolus technique is done to determine tumor size and extent and the presence of portal vein invasion accurately. Ref: Diagnosis and Therapy of Hepatocellular Carcinoma: Status Quo and a Glimpse edited by Adrian Reuben page 338. Harrison's Principles of Internal Medicine, 18e chapter 92.